For the following medical conditions, select the associated acid base disturbances.Hepatic cirrhosis complicated by ARF
1. metabolic acidosis and respiratory acidosis
2. metabolic acidosis and respiratory alkalosis
3. metabolic alkalosis and respiratory acidosis
4. metabolic alkalosis and respiratory alkalosis

Correct answer: 2. metabolic acidosis and respiratory alkalosis

Explanation: Hepatic cirrhosis frequently results in chronic respiratory alkalosis. ARF with metabolic acidosis is common in patients with cirrhosis.